All of the following statements about Exenatide are true except
1. It is a GLP-1 analogue
2. It can be used for treatment of type 1 diabetes mellitus
3. It is given subcutaneously
4. It decreases glucagon

Correct answer: 2. It can be used for treatment of type 1 diabetes mellitus

Explanation: Refer CMDT 2010 p1095 Exenatide is a GLP-1 receptor agonist that is more resistant to DPP-4 action band cleared by the kidney When this drug bus given to patients with type 2 diabetes by subcutaneous injection twice daily Exenatide appears to have the sane effects as GLP-1 on glucagon suppression and gastric emptying